Respiratory quotient of the brain is?
1. 0.6-0.7
2. 0.7-0.8
3. 0.8-0.9
4. 0.9-1.0

Correct answer: 4. 0.9-1.0

Explanation: Ans. D 0.9-1.0* Respiratory quotient (RQ) is the ratio in the steady state of the volume of carbon dioxide produced to the volume of oxygen consumed per unit time.* RQ of the brain is 0.97-0.99; this is because the principal fuel for the brain is carbohydrates.